In genetic deficiency of MPO the increased susceptibility to infections is due to
1. Defective production of prostaglandin
2. Defective rolling of neutrophil
3. Inability to produce hydroxyl halide radicals
4. Inability to produce hydrogen peroxide

Correct answer: 3. Inability to produce hydroxyl halide radicals

Explanation: Ref Robbins 8/e p53 ,56,9/e p76 Myeloperoxidase (MPO) is a hemoprotein expressed in azurophilic granules of neutrophils and in the lysosomes of monocytes. The enzyme has strong antibacterial properties and is unique in its ability to generate potent bactericidal compounds such as hypochlorous acid (HOCl) from hydrogen peroxide and the halide, chloride